The finding of a single umbilical artery on ultrasound is :
1. Insignificant
2. Occurs in 10% of newborns
3. An Indicator of considerably increased incidence of major malformations in the fetus
4. Equally common in newborn of diabetic and nondiabetic mothers

Correct answer: 3. An Indicator of considerably increased incidence of major malformations in the fetus

Explanation: The presence of a single umbilical artery may be associated with congenital malformations.Reference: Textbook of obstetrics, Sheila Balakrishnan, 2nd edition, page no:63